Which of the following personality disorders is characterized by pervasive pattern of grandiosity, lack of empathy, and need for admiration?
1. Narcissistic
2. Borderline
3. Anankastic
4. Schizotypal

Correct answer: 1. Narcissistic

Explanation: Ans. A. NarcissisticA pervasive pattern of grandiosity (in fantasy or behavior), lack of empathy, and need for admiration suggests the diagnosis of narcissistic personality disorder. The fantasies of narcissistic patients are of unlimited success, power, brilliance, beauty, and ideal love; their demands are for constant attention and admiration. Patients with narcissistic personality disorder are indifferent to criticism or respond to it with feelings of rage or humiliation.Other common characteristics are interpersonal exploitativeness and a sense of entitlement, surprise, and anger that people do not do what the patient wants. Schizotypal personality disorder is characterized by various eccentricities in communication or behavior coupled with defects in the capacity to form social relationships. The term emphasizes a possible relation with schizophrenia. The manifestation of aggressive behavior in passive ways-such as obstructionism, pouting, stubbornness, and intentional inefficiency-typifies passive-aggressive personality disorder. Borderline personality disorder is marked by instability of mood, interpersonal relationships, and self-image. Paranoid personality disorder is characterized by rigidity, hypersensitivity, unwarranted suspicion, jealousy, envy, an exaggerated sense of self-importance, and a tendency to blame and ascribe evil motives to others.